Rumpel Leede test measures the?
1. Bleeding time
2. Platelet count
3. Capillary fragility
4. ESR

Correct answer: 3. Capillary fragility